Which of the following is important feature of Duane retraction syndrome
1. Hypertropia
2. Retraction of globe
3. Head tilt
4. All of the above

Correct answer: 2. Retraction of globe

Explanation: Retraction of globe is essential feature of Duane retracation syndrome Duane Retraction Syndrome Duane retraction syndrome is a misinnervation syndrome of cranial nerve 3 and cranial nerve 6. D/d is sixth nerve palsy but note there is no retraction in sixth nerve palsy. Types DRS type 1: Abduction is limited DRS type 2: Adduction limited DRS type 3: both abduction and adduction is limited